In rectus sheath which branch of aorta make anastomosis with superior epigastric artery
1. Subclavian Artery
2. External iliac Artery
3. Internal iliac Artery
4. External carotid Art

Correct answer: 2. External iliac Artery

Explanation: B i.e. External iliac AerySuperior epigastric artery (a branch of internal thoracic or internal Mammary br. of 1st part of subclavian E-- from arch of aorta in left & brachiocephalic in right) anastomose with inferior eigastic artery (a branch of external iliac 4- common iliac F abdominal aorta) in rectus sheathQ